Behcet disease HLA associated ?
1. B51
2. B27
3. DRQ
4. DDR4

Correct answer: 1. B51

Explanation: Ans. is 'a' i.e., B51